A 72-year-old woman is admitted to the hospital with a painful right foot. A CT scan examination reveals a thrombotic occlusion of the femoral artery in the proximal part of the adductor canal. Which artery will most likely provide blood supply to the leg through the genicular anastomosis?,
1. Medial circumflex femoral
2. Descending branch of the lateral circumflex femoral
3. First perforating branch of the deep femoral
4. Inferior gluteal

Correct answer: 2. Descending branch of the lateral circumflex femoral

Explanation: The Lateral Circumflex Femoral Artery arises from the Deep Femoral (Profunda Femoris) artery of the thigh and sends a descending branch down the length of the femur to anastomose with the Superior Medial Genicular Artery and the Superior Lateral Genicular Artery. The medial circumflex femoral artery is responsible for supplying blood to the head and neck of the femur, and it does not anastomose with distal vessels at the knee. The first Perforating Artery of Deep Femoral Artery sends an ascending branch that anastomoses with the Medial Circumflex Femoral and the Inferior Gluteal Artery in the buttock. The inferior gluteal artery is a branch of the Internal Iliac; it has important anastomotic supply to the hip joint.